B ALL is due to-
1. T cells
2. Immature B cells
3. Immature T cells
4. Both T & B cells

Correct answer: 2. Immature B cells

Explanation: ALL are neoplasms composed of immature B (pre B) or T ( pre T) cells which are referred to as lymphoblasts. About 85% are B ALLs which typically manifest as childhood acute leukemias Ref: Robbins and Cotran Pathologic basis of disease.South Asia Edition volume 1.page no,.590